Spermatogenesis occurs at -
1. Body temperature
2. Temperature lower than core body temperature
3. Temperature higher than core body temperature
4. Temperature does not play a role

Correct answer: 2. Temperature lower than core body temperature